Thanatology deals with?
1. Death
2. Snakes
3. Poison
4. Fingerprints

Correct answer: 1. Death

Explanation: ANSWER: (A) DeathREF: Textbook of Forensic Medicine and Toxicology by Nagesh Kumar Rao. Page 115.The term Thanatology is of Greek origin; Thanatos meaning death and logus meaning the science. In other words it means the subject which deals with scientific study of death, types of death, the various events or changes that occur in the cadaver and their medicolegal significance.